A 42-year-old female executive is referred to the sleep clinic with jaw pain. She complains that after she arrives home at night around 10 pm she frequently drinks 3-4 gin and tonics to help quiet her mind.’ She wakes up the next morning around 3am to read the international stock market news, at which point she states her teeth ache an unbearable amount. A study is performed on the patient and it is noted that she grinds her teeth and mutters during roughly half of her sleep. 
Which of the following would you expect to see on her EEG and at which stage of sleep would you expect her jaw pain to be caused?
1. Alphawaves.N2
2. Beta waves, N3
3. Delta waves, N3
4. Sleep spindles, N2

Correct answer: 4. Sleep spindles, N2